A 47-year-old female patient's right breast exhibited characteristics of peau d'orange; that is, the skin resembled orange peel. This condition is primarily a result of which of the following?
1. Shortening of the suspensory ligaments by cancer in the axillary tail
2. Blockage of cutaneous lymphatic vessels
3. Contraction of the retinacula cutis of the are ola and nipple
4. Invasion of the pectoralis major by the cancer

Correct answer: 2. Blockage of cutaneous lymphatic vessels

Explanation: When cutaneous lymphatics of the breast are blocked by cancer, the skin becomes edematous, except where hair follicles cause small indentations of the skin, giving an overall resemblance to orange peel. Shortening of the suspensory ligaments or retinacula cutis leads to pitting of the overlying skin, pitting that is intensified if the patient raises her arm above her head. Invasion of the pectoralis major by cancer can result in fixation of the breast, seen upon elevation of the ipsilateral limb. Inversion of areolar skin with involvement of the ducts would also be due to involvement of the retinacula cutis.